Carbenicillin :
1. Is effective in pseudomonas infection
2. Has no effect in Proteus infection
3. Is a macrolide antibiotic
4. Is administered orally

Correct answer: 1. Is effective in pseudomonas infection